Which one of the following does not stand as an identification for male sex?
1. Oval obturator foramen
2. V-shaped subpubic angle
3. Sternal index 54.3
4. Square chin

Correct answer: 3. Sternal index 54.3

Explanation: Ans. (C). Sternal index 54.3Sternal index: Length of manubrium/ Length of body x 100Male: 46.2Female: 54.3Q